Iris cysts are prevented by -
1. Atropine
2. Pilocarpine
3. Phenylephrine
4. Ecothiopate

Correct answer: 3. Phenylephrine

Explanation: Iris cysts tend to regress after discontinuing echothiophate. Phenylephrine used in combination with echothiophate may prevent iris cysts.